First implant system developed?
1. Noble biocare - Branemark
2. Noble biocare - Steri Oss
3. ITI - Strauman
4. Astra

Correct answer: 1. Noble biocare - Branemark